Sleep spindles and K complexes occur in which phase of the sleep cycle
1. REM
2. Stage I
3. Stage II
4. Stage III

Correct answer: 3. Stage II

Explanation: Sleep spindles are sudden bursts of oscillatory brain activity generated during stage 2 of NREM sleep.K complexes are large waves that react to external stimuli while sleeping also seen during stage 2 of NREM sleep.